Which of the following is NOT a "Chemoattractant".
1. Leukotriene B 4
2. IL8
3. C5a
4. C3

Correct answer: 4. C3

Explanation: C3